The main function of bile salts is:
1. Fat absorption
2. Vitamin absorption
3. Bowel motility control
4. Bacteriostatic

Correct answer: 1. Fat absorption

Explanation: The main function of bile salts is Fat absorption. Bile salts help in the digestion and absorption of fats and also fat soluble vitamins as they increase the surface area for their absorption. Bile salts help in absorption of fat by micelles formation as bile salts are amphipathic in nature. Hydrophilic nonpolar lipids are in center of micelle and are absorbed. Here best answer is fat absorption. Also, bile salts help in excretion of bilirubin like substances.